Nephrotic syndrome is the hall mark of the following primary kidney diseases except -
1. Membranous Glomerulopathy
2. IgA nephropathy
3. Minimal change disease
4. Focal segmental Glomerulosclerosis

Correct answer: 2. IgA nephropathy

Explanation: Ans. is 'b' i.e, IgA nephropathy o Most common presentation of IcA nephropathy is grass hematuria.o It is the most common form of glomerulonephritis worldwideCauses of Nephrotic syndromeo Minimal change diseaseo Focal segmental glomerulosclerosiso Membranous glomerulonephritiso Diabetes nephropathyo AL and AA amyloidosiso Light chain deposition diseaseo Fibrillary immunotactoid disease